Structure crossing dorsal surface of ischial spine are all except
1. Internal pudendal vessel
2. Pudendal nerve
3. Obturator nerve
4. Nerve to obturator internus

Correct answer: 3. Obturator nerve

Explanation: Pudendal nerve, internal pudendal vessels, and nerve to obturator internus after leaving the pelvis through greater sciatic foramen, cross the dorsal aspect of the ischial spine and then re-enter the pelvis through the lesser sciatic foramen.